Which of the following bones do not contribute the nasal septum -
1. Sphenoid
2. Lacrimal
3. Palatine
4. Ethmoid

Correct answer: 2. Lacrimal

Explanation: Septum proper:- This forms the major portion of the nasal septum and consists of the osteocartilaginous framework which is covered by mucous membrane. Its constituents are :-

i)   Osseous part

The vomer
Rostrum and crest of sphenoid
Nasal crest of maxillary bone
Perpendicular plate of ethmoid
Nasal crest of nasal bone
Nasal spine of frontal bone
Nasal crest of palatine bone

ii)  Cartilaginous part

Septal (Quadrilateral) cartilage